All the following drugs are used in various regimens of medical termination of pregnancy except
1. Methotrexate
2. Mifepristone
3. Misoprostol
4. Mefenamic acid

Correct answer: 4. Mefenamic acid

Explanation: Various Regimens for Medical Termination of PregnancyFirst TrimesterMifepristone/MisoprostolMifepristone, 200-600 mg orally; followed in 24-48 hr by:Misoprostol, 200-600 mg orally or 400-800 mg vaginally, buccally, or sublinguallyMisoprostol Alone800 mg vaginally or sublingually every 3 hr for 3 dosesMethotrexate/MisoprostolMethotrexate, 50 mg/m2 BSA intramuscularly or orally; followed in 3-7 days by:Misoprostol, 800 mg vaginally. Repeat if needed 1 week aer methotrexate initially givenSecond TrimesterMifepristone/MisoprostolMifepristone, 200 mg orally; followed in 24-48 hr by:Misoprostol, 400 mg vaginally or buccally every 3 hr up to 5 dosesMisoprostol AloneMisoprostol, 600-800 mg vaginally; followed by 400 mg vaginally or buccally every 3 hr up to 5 dosesDinoprostone20 mg vaginal suppository every 4 hrConcentrated Oxytocin50 units oxytocin in 500 mL of normal saline infused during 3 hr; then 1-hr diuresis (no oxytocin); then escalate sequentially in a similar fashion through 150, 200,250, and finally 300 units of oxytocin each in 500 mL normal salineReference: William's Obstetrics; 25th edition; Chapter 18; Abortion